In Kawasaki disease, desquamation and denudation of skin from fingers and toes occur at
1. 3rd - 6th weeks
2. 2nd - 3rd week
3. After 1st week
4. After 6 weeks

Correct answer: 2. 2nd - 3rd week

Explanation: Kawasaki disease can be divided into 3 clinical phases:Clinical phasedurationClinical featuresAcute febrile phase1-2 weeksfeverSubacute2-3 weeksDesquamation and peeling of fingers and toesCoronary artery aneurysmHigh risk of sudden deathConvalescence6-8weeksrecoveryKawasaki disease- Clinical Criteria1. Fever persisting at least for 5 days2. Presence of at least 4 of the following features. a) Changes in extremities:Acute: erythema of palms, soles, edema of hands and feetsSubacute: periungual peeling of fingers, toesb) Polymorphous exanthemac) Bilateral nonexudative bulbar conjunctival injectiond) Changes in lips and oral cavity(erythema, strawberry tongue)e) Cervical lymphadenopathy( unilateral and >1.5cm diameter)Other Features:GIANT CORONARY ARTERY ANEURYSMS (>8mm internal diameter)Thrombocytosis after 1st weekInduration of BCG inoculation site